Mitral stenosis Is associated with-
1. Right ventricular hyper trophy
2. Left ventricular hypertrophy
3. Left axis deviation
4. Abnormal QRS complex

Correct answer: 1. Right ventricular hyper trophy

Explanation: In patients with severe MS, there may be a malar flush with pinched and blue facies. In patients with sinus rhythm and severe pulmonary hypertension or associated tricuspid stenosis (TS), the jugular venous pulse reveals prominent a waves due to vigorous right atrial systole. The systemic arterial pressure is usually normal or slightly low. An RV tap along the left sternal border signifies an enlarged RV. A diastolic thrill may rarely be present at the cardiac apex, with the patient in the left lateral recumbent position. In MS and sinus rhythm, the P wave usually suggests LA enlargement The QRS complex is usually normal. However, with severe pulmonary hypertension, right-axis deviation and RV hypertrophy are often present. (Harrison's principle of internal medicine,18th edition,pg no. 1930 )